The labial bow in activator is constructed with:
1. 0.6mm
2. 0.5mrn
3. 0.7mm
4. 0.8mm & slightly heavier

Correct answer: 4. 0.8mm & slightly heavier